Which of the following is nucleotide reverse transcriptase inhibitor -
1. Indinavir
2. Nelfinavir
3. Tenofovir
4. Lopinavir

Correct answer: 3. Tenofovir

Explanation: Ans. is 'c' i.e., Tenofovir Antiretroviral drugsNucleoside reverse transcriptase inhibitors (NRTIs) - Zidovudin, Didanosine, Zalcitabine, Stavudine, Lamivudine, Abacavir.Nucleotide reverse transcriptase inhibitor -Tenofovir (Katzung 10th/e)Nonucleoside reverse transcriptase inhibitors (NNRTIS) - Nevirapine, Efavirenz, Delavirdine, Etravirine.Protease inhibitors - Ritonavir, Indinavir, Nelfinavir, Saquinavir, amprenavir, Lopinavir, Fosamprenavir, Atazanavir, Darunavir, Tipranavir.Fusion inhibitor - Enfuvirtide, Maraviroc.Integrase inhibitors - Roltegravir, Elvitegravir.